Which one of the following statements is incorret regarding stones in the common bile duct?
1. Can present with Charcot's triad
2. Are suggested by a bile duct diameter > 8 mm of ultrasound
3. ERCP, sphicteomy and balloon clearance is now the standard treatment
4. When Removed by exploration of the common bile ducts the T-tube can be removed after 3 days

Correct answer: 4. When Removed by exploration of the common bile ducts the T-tube can be removed after 3 days

Explanation: After choledochotomy and removal of stones,Kehr's T tube is placed in the CBD and kept for 14 days.After 14 days a postoperative T-tube cholangiogram is done to see for free flow of dye into the duodenum,so that T-tube can be removed.If cholangiogram shows persistent stone,it can be extracted after 6weeks,through T-tube track under fluoroscopic guidance. Reference:SRB's manual of surgery,5th edition,page no:652